Which is not associated with childhood obesity?
1. Wilson-Mikity syndrome
2. Cushing's syndrome
3. Froehlich's syndrome
4. Laurence-Moon-Bardet-Biedl syndrome

Correct answer: 1. Wilson-Mikity syndrome

Explanation: Wilson-Mikity syndrome is not associated with obesity. Causes of obesity.Endocrine causes: Cushing syndrome; Hypothyroidism; Growth hormone deficiency; Hyperinsulinemia; Hypothalamic dysfunction; Stein-Leventhal syndrome (polycystic ovary); Prader-Willi syndrome; Pseudohypoparathyroidism type I Genetic syndromes: Turner syndrome; Laurence-Moon- Biedl syndrome; Alstrom-Hallgren syndrome Other syndromes: Cohen syndrome; Carpenter syndrome